The dielectric constant of water  is  ___.
1. 105
2. 78.5
3. 30
4. 60

Correct answer: 2. 78.5

Explanation: Water, a strong dipole, has high dielectric constant.
The dielectric constant for water is 78.5.
It decreases the force of attraction between charged and polar species relative to water free environments with lower dielectric constants.